A neurosurgeon performs a surgical resection of a rare meningeal tumor in the sacral region. He tries to avoid an injury of the nerve that arises from the lumbosacral plexus and remains within the abdominal or pelvic cavity. To which of the following nerves should he pay particular attention
1. Ilioinguinal nerve
2. Genitofemoral nerve
3. Lumbosacral trunk
4. Femoral nerve

Correct answer: 3. Lumbosacral trunk

Explanation: The Lumbosacral trunk is formed by part of the ventral ramus of the fourth lumbar nerve and the ventral ramus of the fifth lumbar nerve. This trunk contributes to the formation of the sacral plexus by joining the ventral ramus of the first sacral nerve in the pelvic cavity and does not leave the pelvic cavity. All other nerves leave the abdominal and pelvic cavities. other options are branches of only lumbar plexus no sacral involvement